Most common clinical form of actinomycosis is
1. Cervico facial
2. Thoracolumbar
3. Abdominal
4. Ileocecal

Correct answer: 1. Cervico facial